4th Aortic arch is responsible for the formation of -
1. Arch of aorta
2. Pulmonary artery
3. Pulmonary vein
4. Subclavian vein

Correct answer: 1. Arch of aorta

Explanation: 4th arch artery forms aortic arch on left side and proximal part of subclavian artery on right side.